A reflex which never reappears is –
1. Moro's
2. Grasp
3. Snout
4. Glabellar

Correct answer: 1. Moro's

Explanation: Moro's reflex disappear at 3-6 months and never reappears.
Grasp reflex, snout reflex, palmomental reflex and sucking reflex are normally inhibited by frontal lobe as the child grows. But these are released from inhibition in frontal lobe damage. So, these reflexes can be seen in persons with frontal lobe damage.